Treatment of Advanced Proliferative Diabetic Retinopathy with extensive vitreoretinal fibrosis and fractional retinal detachment involves all of the following, EXCEPT:
1. Reattachment of detached or torn retina
2. Removal of epiretinal membrane
3. Vitrectomy
4. Exophotocoagulation

Correct answer: 4. Exophotocoagulation

Explanation: There is no role of Exophotocoagulation in the management of advanced proliferative diabetic retinopathy with complications such as fractional RD and extensive vitreoretinal fibrosis. Endophotocoagulation may be used in conjunction with vitrectomy. Ref: Oxford Textbook of Medicine 4th /350; Current Geriatric Diagnosis and Treatment (2004)/127